Broad palatal seal indicates
1. Type A palatal form
2. Type B palatal form
3. Type C palatal form
4. None of the above

Correct answer: 1. Type A palatal form